True about vestibular nerve
1. Nucleus is supplied by PICA
2. Anastomotic connection with facial nerve
3. Vestibular ganglion also called Scarpa's ganglion
4. All

Correct answer: 4. All

Explanation: A i.e. Nucleus is supplied by PICA; B i.e. Anastomotic connection with facial nerve; C i.e. Vestibular ganglion also called scarpa's ganglion- Vestibular nuclei is located in floor of 4," ventricle & is supplied by PICA.- Vestibular ganglion is also k/a Scarpa's ganglion. Vestibular nerve anastotnose with cochlear nerve (anastomosis of Oo) and facial nerve.